A Physician, after examining a group of patients of a certain disease, classifies the condition of each one as 'Normal', 'Mild', Moderate' or Severe'. Which one of the following is the scale of measurement that is being adopted for classification of the disease condition?
1. Nominal
2. Interval
3. Ratio
4. Ordinal

Correct answer: 4. Ordinal

Explanation: Ans. is 'd' i.e. Ordinal Refer to Q. no. 42 of May 2005, & Q. no. 36 of Nov. 2003